Which of following techniques analyzing for detection of variations in DNA sequence and Gene expression -
1. Northern Blot
2. Southern Blot
3. Western Blot
4. Microarray

Correct answer: 4. Microarray

Explanation: DNA microarray (DNA-chips) is used for detection or screening of variations in DNA sequences and gene expression analyzing thousands of gene at the same time.